In hemodialysis associated amyloidosis, which of the following is seen
1. Transthyretin
2. B, microglobulin
3. SAA
4. azmicroglobulin

Correct answer: 2. B, microglobulin

Explanation: Ans. is 'b' i.e., B2 microglobulin